Hereditary retinoblastomas
1. 13pl4
2. 14pl3
3. 14ql3
4. 13ql4

Correct answer: 4. 13ql4